Chief artery of lateral surface of cerebral hemisphere ?
1. Anterior cerebral arter
2. Posterior cerebral artery
3. Middle cerebral artery
4. Posterior inferior cerebellar artery

Correct answer: 3. Middle cerebral artery

Explanation: Ans. is 'c' i.e., Middle cerebral artery